Which is not a tumor suppressor gene ?
1. WT-1
2. Rb
3. p53
4. RAS

Correct answer: 4. RAS

Explanation: [Ref. Robbins pathology 10th Ed. RAS is not a tumour suppressor gene, it is an oncogene. Examples of Tumour suppressor gene Gene Cancer associated * TGF Preceptor Carcinoma of stomach * E-cadherin Carcinoma of colon * NF-1 Neuroblastomas * NF-2 Schwannoma and meningiomas * PTEN Endometrial and prostate carcinoma * RB Retinoblastoma, osteosarcoma carcinoma of breast, colon and Lung. * P 53 Most human cancers * WT-1 Wilms Tumour * P16 Pancreatic, breast and esophageal cancers * BRCA 1 * BRCA 2 * KLF 6 Prostate